Not true regarding retinal anatomy
1. Most of the layers of retina are absent at foveala
2. The layer of retina in contact with vitreous is retinal pigment epithelium
3. Posterior pole consists of optic nerve head and macula
4. Fovea has a zone where there is no blood supply

Correct answer: 2. The layer of retina in contact with vitreous is retinal pigment epithelium

Explanation: Layer in contact with vitreous is internal limiting membrane Foveal Avascular Zone- * No blood vessels in this zone * Geometric centre is centre of macula & Fixation point * Important landmark in FA * Ora serrata > Foveola: Thinnest part of retina * Posterior Pole: Macula + Optic nerve head * Optic disc approx: 1.75 mm (H), 1.90 mm (V) * Macula: 5.5 mm (Temporal to optic disc) * Fovea - Centralis : Central depressed part of Macula, 1.5 mm Foveola - 0.35 mm. * Thinnest part of retina after ora serrata. * Contains no rods, only cone are there that are covered by internal limiting membrane * The axons are arranged horizontally and are called Henles layer